Trophic ulcers are caused by all of the following except:
1. Syringomyelia
2. Varicose veins
3. Leprosy
4. Prolonged recumbency

Correct answer: 2. Varicose veins

Explanation: Ans. B: Varicose veinsTrophic ulcer/neurogenic ulcer have punched out edge with slough in the floor thus resembling a gummatous ulcer. Bedsore and perforating ulcers are typical examples of trophic ulcers.These ulcers develop as a result of repeated trauma to the insensitive part of the body.They are commonly seen in the heel and the ball of the foot in ambulatory patients and on the buttock and on the back of the heel in non- ambulatory patients.These ulcers starts with callosity under which suppuration takes place, the pus comes out and the central hole forms the ulcer which gradually burrows through the muscles and tendons to the bone. The resulting is a callous ulcer with punched out corny edge.The surrounding skin has no sensation.The cause may be spinal or leprosy or peripheral nerve injury, diabetic neuropathv, tabes dorsalis, transverse myelitis or meningomyelocele.